Organism most likely to cause "fever of unknown origin" in a farmer who raises goats -
1. Brucella melitensis
2. Clostridium novyi
3. Histoplasma capsulatum
4. Mycobacterium tuberculosis

Correct answer: 1. Brucella melitensis

Explanation: Brucella melitensis infection is acquired from goat sheep and camels.